Fisch classification is used for?
1. Paravertebral tumours
2. Glomus tumor
3. Synovial sarcomas
4. Retroperitoneal tumours

Correct answer: 2. Glomus tumor

Explanation: ANSWER: (B) Glomus tumorREF: Cranial Microsurgery: Approaches and Techniques by Laligam Sekhar, Evandro de Oliveira page 487Paragangliomas of the temporal bone are generally divided intoThose that originate within the middle ear: Glomus tympankum tumorsThose that originate within the jugular fossa: Glomus jugulare tumors.Classification systems that have been developed for temporal bone paragangliomas are used for staging purposes. Surgical planning and comparison among different therapeutic modalities. The Glasscock-Jackson and Fisch classifications are the most widely employed.Glasscock-Jackson Classification of Temporal Bone ParagangliomasType I- Small tumor involving the jugular bulb, middle ear and mastoidType II- Tumor extending under internal auditory canal: might have intracranial extensionType III- Tumor extending into petrous apex: might have intracranial extensionType IV- Tumor extending beyond petrous apex into clivus or infratemporal fossa: might have intracranial extensionFisch Classification of Temporal Bone ParagangliomasClass A: Tumors limited to the middle ear cleftClass B: Tumors limited to the tympanomastoid area without destruction of bone in the infralabyrinthine compartmentClass C: Tumors extending into and destroying bone of the infralabyrinthine and apical compartments of the temporal boneCl: Tumors destroying the bone of the jugular foramen and jugular bulb with limited involvement of the vertical portion of the carotid canalC2: Tumors destroying the infralabyrinthine compartment of the temporal bone and invading the vertical portion of the carotid canalC3: Tumors involving the infralabyrinthine and apical compartments of the temporal bone with invasion of the horizontal portion of the carotid canalClass D: Tumors with intracranial extensionDl: Tumors with intracranial extension up to 2 cm in diameterD2: Tumors with an intracranial extension greater than 2 cm in diameterD3: Tumors with inoperable intracranial extension